All are true about borderline personality disorder except?
1. Unstable interpersonal relationship
2. Impulsivity
3. Attention seeking behavior
4. Self destructive behavior

Correct answer: 3. Attention seeking behavior

Explanation: Ans. is 'c' i.e., Attention seeking behavior Borderline personality disorder* The central feature of borderline personality disorder is a pervasive pattern of unstable and intense interpersonal relationship, self perception and mood.* The patient make recurrent suicidal threats and gesture and a small proportion of patients carry out the act or self mutilation like cutting or burning.* The patients have difficulty in controlling their anger and impulsitivity.* There is uncertainty about personal identity.About other options* Violation of the rules - Antisocial (Dissocial) personality disorder* Grandiose - Narcissistic personality disorder* Attention seeking behavior - Histrionic personality disorder